Low QRS voltage on ECG with left ventricular hypertrophy on Echocardiography suggests a diagnosis of
1. Pericardial effusion
2. Cardiac Amyloidosis
3. Corpulmonale
4. Infective endocarditis

Correct answer: 2. Cardiac Amyloidosis

Explanation: Ans. is 'b' i.e., Cardiac Amyloidosis Low QRS voltage on ECG with left ventricular hypertrophy on Echocardiography suggests a diagnosis of infiltrative cardiomyopathy like amyloidosis. Low QRS voltage along with thick left ventricle on echocardiogram suggests infiltrative cardiomyopathy such as amyloidosis or tumour. Causes of low voltage QRS complexes Adrenal insufficiency Anasarca Aifactual or spurious, eg, unrecognized standardization of ECG at one-half the usual gain (i.e., 5 mm/mv) Cardiac infiltration or replacement (e.g., amyloidosis, tumor) Cardiac transplantation, especially with acute or chronic rejection Cardiomyopathy, idiopathic or secondary Chronic obstructive pulmonary disease Constrictive pericarditis Hypothyroidism, usually with sinus bradycardia Left pneumothorax (mid-left chest leads) Myocardial infarction, extensive Myocarditis, acute or chronic Normal varian Obesity Pericardial effusion Pericardial tamponade, usually with sinus tachycardia Pleural effusions